Kala-azar is found in all endemic areas, except:-
1. West Bengal
2. UP
3. Bihar
4. Assam

Correct answer: 4. Assam

Explanation: Kala-Azar is endemic in the following 4 states of India : 1. Bihar 2. Jharkhand 3. West Bengal 4. Uttar Pradesh - This is because of the vector: Phlebotomus argentipes primarily found in these 4 states.